Part I of the ‘death certificate’ deals with:
1. Immediate cause, and the direct underlying cause which started the whole trend of events leading to death
2. Any significant associated diases that contributed to the death but did not directly lead to it
3. Approximate interval between onset and cause of death
4. The mode of death

Correct answer: 1. Immediate cause, and the direct underlying cause which started the whole trend of events leading to death